Most common complication of gastric ulcer -
1. Tea pot stomach
2. Scirrhous corcinoma
3. Preforation
4. Massive haematemesis

Correct answer: 4. Massive haematemesis

Explanation: Complications of peptic ulcer -
1. Gastrointestinal bleeding

Most common complication of peptic ulcer.
Bleeding is more common in duodenal ulcers.
It is commonly seen in posterior duodenal ulcers because of erosion of gastrodudenal artery.

2. Perforation

It is the second most common complication of peptic ulcer disease.
Preforation occurs commonly in the ulcers located in the anterior part of duodenum .
Duodenal ulcers tend to .perntrate into pancereas causing pancreatitis
Gastric ulcers tend to penetrated into left hepatic lobe.

3. Gastric outlet obstruction

It is the least common ulcer related complication.
It is commonly associated with duodenal ulcers .
Tea pot stomach is caused due to longitudinal shortening of the gastric ulcer at the lesser curvature of the stomach (It causes the stomach to look like tea pot).
Hour glass stomach is caused due to cicatracia contraction of a saddle shaped ulcer at the lesser curvature.